Which of the following is emitted by Phosphorus 32?
1. X-rays
2. Neutrons
3. Alpha Particles
4. Beta particles

Correct answer: 4. Beta particles

Explanation: Radioactive chromic phosphate (P-32) emits only beta particles and has a half life of approximately 2 weeks. It is currently the most frequently used agent as an adjuvant therapy for epithelial ovarian carcinoma when administered intraperitoneally. Ref: Multimodality Therapy in Gynecologic Oncology By B.-U. Sevin, Page 157; Hazardous Materials Awareness and Operations By Rob Schnepp, Pages 31-2